Index measuring deprivation in basic dimensions of human development
1. Human poverty index
2. Human development index
3. Physical quality of life index
4. Development deprivation index

Correct answer: 1. Human poverty index

Explanation: The Human Poverty Index (HPI) was considered to better reflect the extent of deprivation to the HDI. In 2010 it was supplanted by the UN's Multidimensional Poverty Index.